A 67-year-old man, chronic smoker, presented to the ER with sudden, intense and persistent abdominal and back pain along with altered mental status. O/E: - Hypotension Tachycardia Cyanosis. On abdominal examination, a tender, pulsatile and an expansile mass was noted in the umbilical and the epigastric region. Patient was immediately taken up for surgery but the patient did not survive. On checking the old reports of the patient, some abnormal mass was noted in the abdomen. A CECT film was also found. In asymptomatic cases, what is the indication of surgery?
1. 5.5 cm
2. 5.4 cm
3. 4.5 cm
4. 4.4 cm

Correct answer: 1. 5.5 cm

Explanation: This is a case of abdominal aortic aneurysm rupture into the intraperitoneal cavity leading to frank shock. Image 1 shows abdominal aortic aneurysm. Image 2 shows hyperdense crescent sign which is a sign of impending aortic rupture Abdominal Aortic Aneurysm Males > females Incidence increases with age Cigarette smoking is a potent modifiable risk factor. M/C below the level of renal arteries 90% associated with atherosclerosis Normally asymptomatic Causes acute pain and hypotension on rupture For asymptomatic aneurysms, abdominal aortic aneurysm repair is indicated if the diameter is >=5.5 cm.